Not a feature of Treacher-Collins syndrome:
1. Deafness
2. Colobomas of lower eyelid
3. Hypoplasia of zygomatic bone
4. Mongoloid slant of palpable fissure

Correct answer: 4. Mongoloid slant of palpable fissure

Explanation: Ans. D. Mongoloid slant of palpable fissureMandibulofacial dysostosis is also known as Franceschetti-Klein syndrome or Treacher-Collins syndrome.Important features are as under:MicrognathiaColobomas of lower eyelidSunken cheek bonesBlind fistulas between the angles of mouth and earsDeformed pinnasAtypical hair growth extending towards cheekReceding chinLarge mouthFacial cleftsDeafnessAnti-mongoloid palpable fissureHypoplasia of mid face and zygomatic bone